A 1 year old child presenting with abdominal mass and calcification on X-rays is suggestive of ?
1. Teratoma
2. Neuroblastoma
3. Wilms tumour
4. Rhabdomyosarcoma

Correct answer: 2. Neuroblastoma

Explanation: Ans. is 'b' i.e., Neuroblastoma o Both neuroblastoma and wilms tumor can present with abdominal mass and calcification. o But, at 1 year, it is most likely neuroblastoma. o The mean age of presentation of wilms tumor is 3 years.